The cause of decreased outflow of aqueous in a case of primary open angle glaucoma in diabetic:
1. Block in episcleral veins
2. Lens lymphatic blockage
3. Block in trabecular meshwork
4. Infection of iris

Correct answer: 3. Block in trabecular meshwork

Explanation: Block in trabecular meshwork